Which of the following management procedures of acute upper gastrointestinal bleed should possibly be avoided?
1. Intravenous vasopressin
2. Intravenous beta-blockers
3. Endoscopic sclerotherapy
4. Balloon tamponade

Correct answer: 2. Intravenous beta-blockers

Explanation: Ans. (b) Intravenous beta-blockersRef: Sabiston 20th Edition, Page 1142* Betablockers have no role in active variceal bleed.* They are used only in prevention of re-bleeding in Esophageal varices